Drug preferred in generalized tonic clonic seizure:
1. Phenytoin
2. Na+ Valproate
3. Carbamazepine
4. Diazepam

Correct answer: 2. Na+ Valproate

Explanation: (Ref: Katzung, 14th ed. pg. 426; KDT 6th ed. pg. 407-408)* Given the choices the answer will be Na+ Valproate* According to Harrisons 19th ed. the current recommendable drug of choice for GTCS is LAMOTRIGINE > Na+ Valproate.